Drugs that should be given with prescription of registered medical practitioner only are included in which schedule?
1. Schedule C
2. Schedule E
3. Schedule H
4. Schedule I

Correct answer: 3. Schedule H

Explanation: Ans. is 'c' i.e., Schedule H o Prescription drugs according to schedule H of Drugs and cosmetic rules, drugs should be sold in retail only against a prescription of RMP.